Kartagener's syndrome includes all of the following, Except :
1. Sites inversus
2. Bronchiectasis
3. Sinusitis
4. Cystic fibrosis

Correct answer: 4. Cystic fibrosis

Explanation: Answer is D (Cystic fibrosis): Note : Situs inversus refers to perfect mirror image of normal physiologic position of visceral organs with preservation of their A-P relationship. Situs inversus is usually associated with dextrocardia (Heart on Right Side of chest).